Which of the following is not a cestode -
1. Diphyllobothrium latum
2. Taenia saginata
3. Schistosoma mansonia
4. Echinococcus granulosus

Correct answer: 3. Schistosoma mansonia